Which of the following is a nonmodifiable risk factor for coronary heart disease?
1. Cigarette smoking
2. Elevated serum cholesterol
3. Alcoholism
4. Age

Correct answer: 4. Age

Explanation: park's textbook of preventive and social medicine 23rd edition. *non modifiable risk factors for CHD :age,sex,ethnicity, genetic factors. *modifiable risk factors: obesity,alcohol,physical activity, saturated fat, socio-economic status.